Disinfection duration of alginate impression, when immersion method is used, should not exceed
1. 10 min
2. 20 min
3. 5 min
4. 30 min

Correct answer: 1. 10 min

Explanation: Feedback 
The current protocol for disinfecting hydrocolloid impression is to use household bleach 1:10 dilution , iodophors or synthetic phenols. The time of immersion should not exceed 10min, when immersion method is used.